Papain acts an gamma globulin to form-
1. 2 Fc fragments
2. 2 Fab fragments
3. 1 Fab fragments
4. None

Correct answer: 2. 2 Fab fragments

Explanation: The enzyme papain can be used to cleave an immunoglobulin monomer into two Fab fragments and an Fc fragment. The enzyme pepsin cleaves below the hinge region, so a F(ab')2 fragment and a pFc' fragment is formed